An obese lady aged 45 years, was brought to emergency in a semi comatose condition. The laboratory investigations showed K+ (5.8 mmol/L); Na+ (136 mmol/L); blood pH (7.1), HC03 (12 mmol/L),' ketone bodies (350 mg/dl). The expected level of blood glucose for this lady is:
1. < 45 mg/dl.
2. <120 mg/dl.
3. >180 mg/dl.
4. <75 mg/dl.

Correct answer: 3. >180 mg/dl.

Explanation: Ans. is 'c' i.e. > 180 mg /dL Metabolic acidosis (pH 7.1 and HCO3' 12 mmol/1) presence of ketone bodies and increased potassium (Normal 3.5 mmol/1 to 5 mmol/L) favours the diagnoses of diabetic ketoacidosis.Diabetic ketoacidosis occurs when the serum glucose level is around 300-600 mg/dlNote: For every 100mg elevation of glucose in serum the Na+ concentration decreases by 3 meq.